Which one of the following is the most characteristic arrhythmia with digitalis toxicity ?
1. Atrial fibrillation
2. Extrasystoles
3. NPAT with block
4. Auricular flutter

Correct answer: 3. NPAT with block